Increased intercondylar distance is seen in fracture of all except:
1. Olecranon
2. Medial epicondyle
3. Lateral epicondyle
4. Lateral condyle

Correct answer: 1. Olecranon

Explanation: A i.e. Olecranon